Normal development of a female with absent uterus and vagina indicates?
1. Turner's syndrome
2. Testicular feminizing syndrome
3. Mullerian agenesis
4. Gonadal digenesis

Correct answer: 3. Mullerian agenesis

Explanation: ANSWER: (C) Mullerian agenesisREF: Shaw 13th ed p. 87MULLERIAN AGENESIS is a congenital malformation in women characterized by a failure of the mullerian ducts to develop, resulting in a missing uterus and fallopian tubes and variable malformations of the upper portion of the vagina.The condition is also called MRKH or Mayer-Rokitansky-Kiistner-Hauser Syndrome. A woman with this condition is hormonally normal; that is, she will enter puberty with development of secondary sexual characteristics in eluding thelarche and adrenarche (pubic hair). Her chromosome constellation will be 46XX. Ovaries are intact and ovulation usually occurs.